Which of the following is polar?
1. Isoleucine
2. Methionine
3. Glutamic acid
4. Tryptophan

Correct answer: 3. Glutamic acid

Explanation: Classification of aminoacids based on side chain and charges. Acidic amino acids (with negative charge) Basic amino acids (with positive charge) Neutal aminoacids (having non-polar side chains )(hydrophobic) Neutral amino acids (having polar side chains )(hydropilic) Tyrosine Lysine Alanine Aspartic acid Arginine Valine Serine Glutamic acid Histidine Leucine Threonine Isoleucine Cysteine Methionine Glutamine Phenylalanine Asparagine Tryptophan Proline REFERENCE: DM VASUDEVAN TEXTBOOK EIGHTH EDITION ;Page no:27 t